Which is the most common cause of bloody discharge of breast from a single duct?
1. Duct papilloma
2. Duct ectasia
3. Breast cancer
4. Paget’s disease

Correct answer: 1. Duct papilloma

Explanation: Bloody discharge from a single duct cause is duct papilloma, if multiple ducts involved then the most common cause is breast cancer.